Which type of vaccine is MMR?
1. Live attenuated
2. Killed
3. Toxoid
4. Subunit

Correct answer: 1. Live attenuated

Explanation: ANSWER: (A) Live attenuatedREF: APPENDIX-46 below for "TYPES OF VACCINE"Live vaccines can me memorized as "BOMBEY-VT"; BCG, OPV (sabin), MMR (mumps, measles & rubella), Bubonic plague, epidemic typhus, yellow'- fever (17D), vaccinia,Oral Typhoid vaccine (Ty21a) APPENDIX - 46Types of VaccineTypeContentExamplesKilled vaccineskilled, but previously virulent, microorganisms that have been destroyed with chemicals or heat.Avian Flu vaccine; developed by Reverse Genetics techniques. Reverse genetics' is an approach to discovering the function of a gene by analyzing the phenotypic effects of specific gene sequences obtained by DNA sequencing. This investigative process proceeds in the opposite direction of so- called forward genetic screens of classical genetics. Simply put, while forward genetics seeks to find the genetic basis of a phenotype or trait, reverse genetics seeks to find what phenotypes arise as a result of particular genes.